Non-shivering thermogenesis is mediated bya) α1 receptorb) β2 receptorc) β3 receptord) UCP-2e) UCP-1
1. a
2. ce
3. ac
4. ae

Correct answer: 2. ce

Explanation: Brown fat is generally where the non-shivering thermogenesis occur. UCP-1 & β3 receptors are involved in the process.